Sullivan index is an index for
1. Life free of disability
2. Life Expectancy
3. Earning capacity
4. Population index

Correct answer: 1. Life free of disability

Explanation: Sullivan's index also known as Disability Free Life Expectancy (DFLE) is a method to compute life expectancy free of disability. It is calculated by formula:Life expectancy minus duration of disability Ref: 25th edition, Park's Textbook of Preventive and Social Medicine, Page no. 26